Carcinoid tumor develops from:
1. Enterochromaffm cells
2. Neuroectoderm
3. J cells
4. Goblet cells

Correct answer: 1. Enterochromaffm cells

Explanation: Ans. (a) Enterochromaffin cells(Ref: R 9th/pg 719-720)Carcinoid tumor develops from Enterochromaffin cells which contains neuroendocrine hormones.